Gemcitabine is effective in
1. Head and neck cancers
2. Pancreatic cancer
3. Small lung cell cancer
4. Soft tissue sarcoma

Correct answer: 2. Pancreatic cancer

Explanation: Refer Katzung 10th/891 Gemcitabine is an Antimetabolite that is th^ drug of choice for pancreatic cancers